Among which hypoxia AV 0 difference is max ?
1. Histotoxic
2. Stagnant
3. Hypoxic
4. Anemic

Correct answer: 2. Stagnant

Explanation: Ans. is 'b' i.e., Stagnant